Which virus causes hepatocellular carcinoma
1. Arbo
2. Herpes
3. Hepatitis-A
4. Hepatitis-B

Correct answer: 4. Hepatitis-B

Explanation: A number of etiologic factors are implicated in the etiology of HCC, most important being HBV and HCV infection, and association with cirrhosis. TEXTBOOK OF PATHOLOGY 6TH EDITION HARSH MOHAN PAGE NO:634